Celiac plexus block all the following is true except-
1. Relieved pain from gastric malignancy
2. cause hypotention
3. Can be used to provide anesthesia for intra abdominal surgery
4. Can be given only by retrocrural {classic}. approach

Correct answer: 4. Can be given only by retrocrural {classic}. approach

Explanation: Orthostatic hypotension occur more often with the retrocrural approach Can be used to provide anesthesia for intra abdominal surgery relive pain from gastric malignancy